High Anion Gap Acidosis is seen in all except
1. Diabetic ketoacidosis
2. Lactic acidosis
3. Renal tubular acidosis
4. Methanol poisoning

Correct answer: 3. Renal tubular acidosis

Explanation: High anion gap is seen in cases like,ketoacidosis, poisoning, lactate acidosis, renal failure Low anion gap indicates low albumin content in the body,this may be due to various kidney diseases Ref:Guyton and Hall textbook of medical physiology 12th edition,page number: 518,519.